Clinical findings suggestive of adequacy of pelvis for vaginal delivery are all except?
1. Diagonal conjugate > 11.5 cm
2. Interspinous diameter > 8 cm
3. Sacrosciatic notch 2.5 - 3 finger breadths
4. Bituberous diameter > 8 cm

Correct answer: 2. Interspinous diameter > 8 cm

Explanation: Ans. is 'b' i.e., Interspinous diameter > 8 cmClinical findings suggestive of adequacy of pelvis for vaginal delivery are:Findings indicating adequate pelvisForepelvis (pelvic brim)RoundDiagonal conjugate11.5 cmSymphysisAverage thickness, parallel to sacrumSacrumHollow, average inclinationSide wallsStraightIschial spinesBluntInterspinous diameter10.0 cmSacrosciatic notch2.5-3 finger - breathsBituberous diameter4 knuckles (> 8.0 cm)CoccyxMobileAnterposterior diameter of outlet11.0 cm